A four year old boy presented with secondaries all over the body including his eyes. Which one is the commonest cause of orbital metastasis in children?
1. Neuroblastoma
2. Ca lung
3. Ca breast
4. Ca thyroid

Correct answer: 1. Neuroblastoma

Explanation: The most common metastatic tumor in children is neuroblastoma. It is the commonest cause of orbital metastasis. Bilateral eyelid ecchymosis and proptosis are the most common presenting signs of orbital neuroblastoma. Ca lung is the commonest cause of metastasis in males and Ca breast is the commonest cause in females.